Multiple perforation of tympanic membrane characteristic of ?
1. Tubercular Otitis Media
2. Syphilitic Otitis Media
3. Pseudomonas infection
4. Fungal Otitis Media

Correct answer: 1. Tubercular Otitis Media

Explanation: Ans. is 'a' i.e., Tubercular otitis media Tubercular otitis media Tuberculosis of middle ear is a comparatively rare entity usually seen in association with or secondary to pulmonarytuberculosis, infection reaches the middle ear through eustachian tube. The rare modes of infection are through hematogenous spread from tubercular focus in lung, tonsils, cervical lymph nodes; or due to ingestion of infected cow's milk. It usually affects children and young adults. Clinical features Generally, tuberculosis of middle ear is unilateral. It is characterized by painless otorrhoea which fails to respond to the usual antimicrobial treatment. There is painless watery otorrhea. Single or multiple perforation of tympanic membrane. There may be multiple perforations in the early stages, but they coalesce into a large tympanic membrane perforation accompanied by a pale granulation tissue. Periauricular fistulae, lymphadenopathy and facial palsy are infrequent findings. Late complications include facial paralysis, labyrinthitis, postauricular fistulae, subperiosteal abscess, petrous apicitis and intracranial extension of infection.